True about trematodes -
1. Two host required
2. Segmented
3. Anus present
4. Body cavity present

Correct answer: 1. Two host required

Explanation: character cestodes trematodes nematodes shape tape like leaf like elongated and cylindrical body segmented unsegmented unsegmented sexes monoecious monoecious(except shistosoma) separate head contains suckers,often with suckers present,not hooks suckers and hooks absent body cavity absent absent present alimentary canal absent present(incomplete without anus) present and complete TEXTBOOK OF MEDICAL PARASITOLOGY,BAVEJA,3RD EDITION,PAGE NO 115